Drug of choice for dermatitis herpetiformis is :
1. Dapsone
2. Griseofulvin
3. Rifampicin
4. Ketoconazole

Correct answer: 1. Dapsone

Explanation: Ans. is 'a' Dapsone The drug of choice for Dermatitis herpetiformis - Dapsone (50-200 mg/day)Dermatitis herpetiformis is a bullous lesion in which there is Gluten Hypersensitivity. Treatment -Dapsone*Gluten free diet*Vitamins & minerals